In intracellular fluid, which of the following has least concentration?
1. Calcium
2. Magnesium
3. Potassium
4. Protein

Correct answer: 1. Calcium

Explanation: - Calcium is kept very LOW in cytoplasm, hence intracellular fluid doesn't contain much Ca+2 - Calcium is mostly stored in organelles inside cell - E.g. In sarcoplasmic reticulum of muscle cell etc.